Example of scrapable white lesion is/ are:
1. Diphtheritic patch
2. Syphilitic mucous patch
3. Pseudomembranous candidiasis
4. All of the above

Correct answer: 4. All of the above

Explanation: Pseudomembranous Candidiasis -  clinically appears as white to yellowish-white plaques which can be easily scraped off, exposing red areas. 
‘Diphtheritic membrane’ or patch, which often begins on the tonsils and enlarges, becoming confluent over the surface. This false membrane is grayish-green, thick, and fibrinous, and is composed of dead cells, leukocytes and bacteria overlying necrotic, ulcerated areas of the mucosa tends to be adherent and leaves a bleeding surface if stripped away.
The oral lesions of syphilis, called ‘mucous patches,’ are usually multiple, painless, grayish-white plaques overlying an ulcerated surface.
Ref: Shafer's textbook of oral pathology 7th edition